Hydrogenation of fatty acid is ?
1. Hydrolysis by Alkali
2. Auto-oxidation of PUFA
3. Addition of hydrogen to unsaturated fatty acid
4. Addition of hydrogen to saturated fatty acid

Correct answer: 3. Addition of hydrogen to unsaturated fatty acid

Explanation: Ans. is 'c' i.e., Addition of hydrogen to unsaturated fatty acidAddition of hydrogen atoms to unsaturated fatty acid refers to hydrogenation. It reduces the number of double bonds in the unsaturated fats.Hydrogenation of unsaturated fats in the presence of a catalyst (nickle) in known as "hardening", because it converts liquid vegetable oils into solid fats e.g. margarines, vegetable ghee, etc.